Thiopentone action is terminated by:
1. Excretion
2. Metabolism
3. Redistribution
4. Recycling

Correct answer: 3. Redistribution